Non keratinized areas in gingiva is/are:
1. Sulcular epithelium.
2. Junctional epithelium.
3. Interdental col.
4. All of the above.

Correct answer: 4. All of the above.